Holstein lewis sign is related to which nerve ?
1. Median nerve
2. Radial nerve
3. Ulnar nerve
4. Axillary nerve

Correct answer: 2. Radial nerve

Explanation: A Holstein-Lewis fracture is a fracture of the distal third of the humerus resulting in entrapment of the radial nerve. * Most commonly caused by fracture of the humerus, v at the junction of the middle and distal thirds. (Holstein-Lewis fracture) * Radial nerve in particular jeopardy * The proximal spike of this radial breaks through the lateral cortex at a point where the nerve is most closely apposed to the bone . ref : maheswari 9th ed